A man presents with fever, wt loss and cough: Mantoux reads an induration of 17 x 19 mm, Sputum cytology is negative for AFB. Most likely diagnosis is
1. Pulm tuberculosis
2. Fungal infection
3. Viral infection
4. Pneumonia

Correct answer: 1. Pulm tuberculosis